Fairley's test is done in -
1. Cysticercosis
2. LGV
3. Schistosomiasis
4. Filariasis

Correct answer: 3. Schistosomiasis